Unable to consolidate long-term memory
1. Frontal
2. Parietal
3. Temporal
4. Hippocampus

Correct answer: 4. Hippocampus

Explanation: Hippocampus is the are where short-term memory gets processed to long term. Therefore lesions affecting hippocampus leads to difficulty in consolidating long-term memory. Ref: Ganong's review of medical physiology; 23rd edition; pg:290.